strand Hydrophobic amino acid is ?
1. Alanine
2. Tyrosine
3. Glycine
4. Histidine

Correct answer: 1. Alanine

Explanation: Ans. is 'a' i.e.,Alanine Polar (hydrophilic) amino acidsNegatively charged (acidic) :- Aspartic acid (aspartate), glutamic acid (glutamate)Positively charged (basic) :- Histidine, lysine, arginineUncharged (neutral) :- Asparagie, Cysteine, glycine, glutamine, serine, threonine, tyrosineNon-polar (hydrophobic) amino acidsWith aliphatic chain :- Alanine, isoleucine, leucine, methionine, proline, valineWith aromatic side chain :- Phenylalanine, tryptophanTyrosine and cysteine may show hydrophobic (non-polar) character when present in the interior of protein